Intravenous immunoglobulin is given in-a) Kawasaki diseaseb) GB syndromec) Heart blockd) Atrial fibrillatione) Myasthenia gravis
1. abc
2. bcd
3. abe
4. acd

Correct answer: 3. abe